Which among the following is TRUE regarding transport of substances through the cell membrane, EXCEPT:
1. Glucose is transported facilitated diffusion
2. Active transport is an energy driven process
3. Facilitated diffusion requires energy
4. Facilitated diffusion requires carrier protein

Correct answer: 3. Facilitated diffusion requires energy

Explanation: Facilitated diffusion is a form of transporter-mediated membrane transport that does not require energy input. Just as in passive diffusion, the transport of ionized and non-ionized compounds across the plasma membrane occurs down their electrochemical potential gradient. Therefore, steady state will be achieved when the electrochemical potentials of the compound on both sides of the membrane become equal. Active transport is the form of membrane transport that requires the input of energy. It is the transport of solutes against their electrochemical gradients, leading to the concentration of solutes on one side of the plasma membrane and the creation of potential energy in the electrochemical gradient formed. Ref: Giacomini K.M., Sugiyama Y. (2011). Chapter 5. Membrane Transporters and Drug Response. In L.L. Brunton, B.A. Chabner, B.C. Knollmann (Eds), Goodman & Gilman's The Pharmacological Basis of Therapeutics, 12e.